All of the following are true about 'non-shivering thermogenesis' EXCEPT?
1. It is due to the presence of brown fat
2. Release of norepinephrine uncouples beta oxidation in fat
3. Brown fat does not have sympathetic innervation
4. Axillae, nape of neck & interscapular areas are rich in brown fat

Correct answer: 3. Brown fat does not have sympathetic innervation

Explanation: Non-shivering thermogenesis' is due to the presence of brown fat. Release of norepinephrine uncouples beta oxidation in fat resulting in heat production Brown fat is located around great vessels, kidneys, adrenals, axilla, nape of neck, & between scapulae. Brown fat have sympathetic innervation